Maximum concentration of vitamin A is found in
1. Liver
2. Pulses
3. Egg
4. Soybean

Correct answer: 1. Liver

Explanation: (A) LiverRETINOL CONTENT OF SELECTED FOODSRetinol Equivalents (RE) (meg/100 g)* Halibut liver oil900,000* Carrot1167* Cod liver oil18,000* Spinach607* Liver, Ox16,500* Amaranth515* Butter825* Green leaves300* Margarine900* Mango, ripe313* Cheese350* Papaya118* Egg140* Orange25* Cow milk38* Tomato84* Fish40